Absence seizures are characterized on EEG by-
1. 3 Hz spike & wave
2. 1-2 Hz spike & wave
3. Generalized polyspikes
4. Hypsarrythmia

Correct answer: 1. 3 Hz spike & wave